Left ventricular stress is maximum in-
1. MS with MR
2. MS with AR
3. MR with AR
4. AS with AR

Correct answer: 4. AS with AR

Explanation: Ans. is 'd' i.e., AS with ARo AS causes pressure overload and AR causes volume overload.o So, left ventricular stress will be maximum when there is combined AR with AS, that results in both volume and pressure overload.